A 15-month-old child presents with fever and cough since the last 2 days; the respiratory rate is 55/min, and there is no in drawing of the chest. According to the National Programme for Acute Respiratory Infections, the line of management should be -
1. Immediate referral of the child to hospital for urgent admission
2. Referral of the child to hospital for admission, after admistration of first dose of antibiotic
3. Administration of antibiotic at home along with treatment for gever, advising the mother to return for reassessment after 2 days
4. Administration of treatment for fever at home, advising the mother to return after 2 days for assessment of the need for an antibiotic

Correct answer: 3. Administration of antibiotic at home along with treatment for gever, advising the mother to return for reassessment after 2 days

Explanation: Here child is having fast breathing (40 breaths per minute or more in a child aged 12 months upto 5 years) and no chest in drawing. So child is having Pneumonia( not severe) So the treatment is ,advise mother to give home care & give an antibiotic. Treat fever & wheezing. Advice mother to return with child in 2 days for reassessment, or earlier if child is getting worse. Reference:Park's textbook of preventive and social medicine,K.Park,23rd edition,page no:169-171.